Which of the following is most useful in differentiating an acute periodontal abscess from periapical abscess?
1. Type of exudates
2. Nature of swelling
3. Intensity of pain
4. Result of periodontal probing

Correct answer: 4. Result of periodontal probing